Condition where subhyloid hemorrhage is associated with subarachnoid hemorrhage is -
1. Posner-Schlossman syndrome
2. Axenfeld-Rieger syndrome
3. Pseudoexfoliation syndrome
4. Terson's syndrome

Correct answer: 4. Terson's syndrome

Explanation: *Terson syndrome is intraocular haemorrhage associated with subarachnoid hemorrhage, intracerebral hemorrhage or traumatic brain injury. Hemorrhage May be present in the vitreous, sub-hyloid, or intraretina/ sub- internal limiting membrane. *Terson syndrome usually occurs in adults, but has been reported in children as young as 7years. It can be unilateral or bilateral. *Subarachnoid hemorrhage May be directly transmitted forward through the optic nerve sheath. Ref: Delhi ophthalmology society article